Tumor arsing from Olfactory nasal mucosa
1. Nasal glioma
2. Adenoid cystic carcinoma
3. Nasopharyngeal carcinoma
4. Esthesioneuroblastoma

Correct answer: 4. Esthesioneuroblastoma

Explanation: Esthesioneuroblastoma (Olfactory Neuroblastoma) Esthesioneuroblastoma is a rare unique tumor of neural crest origin Arises from the basal neural cells of the olfactory mucosa of the cribriform plate, upper nasal wall and superior turbinate. Seen in either sex and most common in 3rd and 4th decade Clinical Features: Presents as unilateral polypoidal mass in the upper third of the nasal cavity with symptoms of nasal obstruction, epistaxis and anosmia. It is a vascular tummor that bleeds profusely on biopsy. LN and systemic metastases can occur. Treatment: Favored treatment is surgical excision followed by radiation Ref: Dhingra 5th edition Pgno: 217